Treatment regimen for Hodgkins lymphoma is:
1. VAD
2. CMF
3. ABVD
4. CHOP

Correct answer: 3. ABVD

Explanation: Ans. C: ABVD In 1964, researchers at the National Cancer Institute developed the first combination chemotherapy that cured a number of patients who had relapsed following a standard radiation therapy regimen. This drug combination was called MOPP and was, for a long time, the standard treatment for Hodgkin's disease: Mustargen (mechlorethamine, nitrogen mustard) Oncovin (Vincristine, VCR) Procarbazine (Matulane) Prednisone (Deltasone, Orasone) MOPP has been mostly replaced by another combination chemotherapy called ABVD (Adriamycin, Bleomycin, Vinblastine, Dacarbazine), which is now the standard chemotherapy regimen for Hodgkin's disease. However, MOPP may be used if there are lung or heart conditions present or allergies to any of the medications in the ABVD combination. Additionally, 30% to 40% of people will relapse after treatment with ABVD, which will require 'salvage' treatment with MOPP. VAD combination chemotherapy is used for multiple myeloma and CHOP combination chemotherapy is used for B cell chronic lymphoid leukemia